The WHO considers all of the following dietary modifications to be appropriate in the prevention of Coronary Heart Disease (CHD), EXCEPT:
1. Decrease in complex carbohydrate consumption
2. Avoidance of alcohol consumption
3. Reduction of dietary cholesterol to below 100 mg per 1000 kcal per day
4. Reduction of fat intake to 20-30 per cent of total energy intake

Correct answer: 1. Decrease in complex carbohydrate consumption

Explanation: The dietary modifications for the prevention of Coronary Heart Disease (CHD) include reduction of fat intake to 20-30 per cent of the total energy intake, consumption of saturated fat limited to less than 10 per cent of the total energy intake, reduction of dietary cholesterol to below 100 mg per 1000 kcal per day, increase in complex carbohydrate consumption, avoidance of alcohol consumption and reduction of salt intake to 5 g daily or less Ref: Park's Textbook Of Preventive And Social Medicine, By K. Park, 19th Edition, Pages 306, 307.